Which of the following is false about advantages of Sod. Hypochlorite
1. Potent tissue solvent
2. Can dissolve only vital tissue
3. Has bleaching action
4. Has lubricating action

Correct answer: 2. Can dissolve only vital tissue